The muscle which makes an angle of about 51deg with the optical axis is:
1. Superior rectus
2. Superior oblique
3. Inferior rectus
4. Lateral rectus

Correct answer: 2. Superior oblique

Explanation: Ans. Superior oblique